The Prostatic urethra is characterized by all of the following features, except that it?
1. Is the widest and most dilatable part
2. Presents a concavity posteriorly
3. Lies closer to anterior surface of prostate
4. Receives Prostatic ductules along its posterior wall

Correct answer: 2. Presents a concavity posteriorly

Explanation: Prostatic urethra is the widest and most dilatable part of the urethra and is concave anteriorly.